Transient acute adrenal insufficiency is seen with which of the following drug.
1. Etomidate
2. Propofol
3. Thiopentone
4. Ketamine

Correct answer: 1. Etomidate

Explanation: Etomidate causes adrenal gland suppression. It inhibits an enzyme 11 beta hydroxylase on essential enzyme for cortisol synthesis. Etomidate has the highest incidence (40%) of post operative nausea and vomiting (PONV) among the intravenous anesthetics. Propofol has antiemetic properties thereby reducing PONV. Other potential adverse effects of etomidate: Adrenocortical suppression Myoclonus Seizure precipitation Pain on injection